Rigor mortis occurs first in which voluntary muscle-
1. Muscles of eyelids
2. Small muscles of hands
3. Neck muscles
4. Face muscles

Correct answer: 1. Muscles of eyelids

Explanation: Among voluntary muscles, muscles of eyelid (upper) are involved first.